The disadvantage of standard cephalometric radiograph is that it
1. Has cumbersome developing and fixing procedure
2. Produces two dimensional representation of a three dimensional structure
3. Is difficult to handle the X-ray unit
4. Has high radiation hazard

Correct answer: 2. Produces two dimensional representation of a three dimensional structure